Which of the following change in heart rate and blood pressure is seen in patients given high spinal anaesthesia?
1. Hypertension and Bradycardia
2. Hypertension and Tachycardia
3. Hypotension and Bradycardia
4. Hypotension and Tachycardia

Correct answer: 3. Hypotension and Bradycardia

Explanation: A high spinal block refers to local anaesthetic block involving the spinal nerves above the level of T4. When the spinal block involves T1-4 segments, patients develop bradycardia due to block of sympathetic cardiac nerves and severe hypotension occur due to the effect of bradycardia superimposed on the effect of hypotension. High spinal block should be suspected if there is .bradycardia .hypotension .tingling or weakness in the hands or complaints of difficulty in breathing or talking. Symptoms depending on height of block: C6-8: Hand paresthesia and weakness, likely to be effect on adequacy of breathing C3-5: Diaphragmatic paralysis, with definite respiratory Ref: Managing Obstetric Emergencies and Trauma: The MOET Course Manual edited by Kathryn M. Grady, page 326.